Which is not an adverse effect of Amphotericin B?
1. Hepatotoxicity
2. Hyperkalemia
3. Thrombopenia
4. Arrhythmias

Correct answer: 2. Hyperkalemia

Explanation: Electrolyte imbalances (e.g. hypokalemia and hypomagnesemia) can result. Hepatotoxicity (increased liver enzymes & even upto fulminant liver failure) are common. Anemia and other blood dyscrasias (leukopenia, thrombopenia),